A 55 year old lady presenting to out patient department with postmenopausal bleeding for 3 months has a 1 x 1 cm nodule on the anterior lip of cervix. Which of the following is the most appropriate investigation to be done subsequently in this care?
1. Pap smear
2. Punch biopsy
3. Colposcopy
4. Endocervical curettage

Correct answer: 2. Punch biopsy

Explanation: Most appropriate investigation which can be done in the OPD in this patient who has a visible 1 x 1 cm nodule on the anterior lip of cervix is puch biopsy. For non-visible lesions coloposcopy allows accurate delineation of suspicious areas for tissue biopsy. Ref: Shaw's Textbook of Gynaecology, 13th Edition, Page 384